All the following are indications for delivery in women <34 Weeks' gestation managed expectantly with severe preeclampsia
1. Raised umbilical aery doppler indices
2. Eclampsia
3. Pulmonary edema
4. Placental abruption

Correct answer: 1. Raised umbilical aery doppler indices

Explanation: Indications for Delivery in Severe preeclamptic Women <34 Weeks' Gestation Coicosteroid Therapy for Lung Maturation and Delivery after Maternal Stabilization:Uncontrolled severe hypeensionEclampsiaPulmonary edemaPlacental abruptionDisseminated intravascular coagulationNonreassuring fetal statusFetal demiseCoicosteroid Therapy for Lung Maturation--Delay Delivery 48 hr If Possible:Preterm ruptured membranes or laborThrombocytopenia <100,000/mLHepatic transaminase levels twice upper limit of normalFetal-growth restrictionOligohydramniosReversed end-diastolic Doppler flow in umbilical aeryWorsening renal dysfunctionReference: William's Obstetrics; 25th edition; Chapter 40; Hypeensive disorders